Figlu is an intermediate product of the following amino acid:
1. Histidine
2. Arginine
3. Cystine
4. Methionine

Correct answer: 1. Histidine

Explanation: Catabolism of histidine proceeds urocanate, 4-imidazolone-5-propionate, and N-formiminoglutamate (Figlu). Formimino group transfer to tetrahydrofolate forms glutamate, then alpha-ketoglutarate. Also know: In folic acid deficiency, transfer of the formimino group is impaired, and Figlu is excreted. Excretion of Figlu following a dose of histidine thus can be used to detect folic acid deficiency. Ref: Rodwell V.W. (2011). Chapter 29. Catabolism of the Carbon Skeletons of Amino Acids. In D.A. Bender, K.M. Botham, P.A. Weil, P.J. Kennelly, R.K. Murray, V.W. Rodwell (Eds), Harper's Illustrated Biochemistry, 29e.